The recommended non-surgical treatment of stress incontinence is:
1. Pelvic floor muscle exercises
2. Bladder training
3. Electrical stimulation
4. Vaginal cone/weights

Correct answer: 1. Pelvic floor muscle exercises

Explanation: Ans. is a, i.e. Pelvic floor muscle exercisesRef: Dutta Gynae 5th/ed, p586; Novak 14th/ed, p875; Williams Gynae 1st/ed, p525-6; Textbook of Gynae Sheila Balakrishnan 1st/ed, p328The most recommended non surgical treatment for stress incontinence is pelvic floor muscle exercise."Pelvic floor muscle training should be offered as first line conservative management for stress incontinence." - Ref: Novak's 14th/ed, p875; Dewhurst 10th/ed, p486"Pelvic floor exercises are the mainstay of conservative therapy for stress incontinence."- Urinary incontinence in primary care' (2000)/73